A patient presents with Microcytic Hypochromic anemia. Serum iron levels and TIBC are decreased. Likely diagnosis is
1. Iron deficiency anemia
2. Anemia of chronic disease
3. Thalassemia
4. Sideroblastic anemia

Correct answer: 2. Anemia of chronic disease

Explanation: Answer is B (Anemia of chronic disease) Hypochromic microcytic anemia with decreased serum iron and decreased TIBC is characteristic of anemia of chronic disease. Hypochromic microcytic anemia with 4.serum iron and TTIBC: iron Deficeincy Anemia Hypochromic microcytic anemia with fserum iron and TIBC : Anemia of Chronic disease Condition Iron deficiency Thalassemia Sideroblastic anemia Anemia of chronic disease Test (normal values) Serum iron Low (<30) Normal Normal ,l, (<50) (50-15014/d1) TIBC High (>360) Normal Normal ,l, (<300) (300-600 ug/dl) (Chandrasoma Taylor)